First rib is not related to-
1. Sympathetic chain
2. Scalenus anterior
3. Suprapleural membrane
4. T2 Nerve

Correct answer: 4. T2 Nerve

Explanation: Ans. is 'd' i.e., T2 Nerve o Anteriorly, the neck of the first rib is related to (from medial to lateral) :-(i) Sympathetic chain, (ii) 1" posterior intercostal vein, (iii) Supeior intercostal artery, and (iv) 1st thoracic nerve. These structures are between neck of first rib (posteriorly) and apex of lung (anteriorly).o Following are attached to first rib Scalenus anterior, scalenus medius, subclavius, serratus anterior (1st digitation), costo-clavicular ligament and suprapleural membrane.